Which of the following physiological changes occur during fever?
1. Thermoregulatory centre to shift to new level
2. Resetting of skin temperature
3. Both of the above
4. None of the above

Correct answer: 1. Thermoregulatory centre to shift to new level

Explanation: Fever is an elevation of body temperature that exceeds the normal daily variation and occurs in conjunction with an increase in the hypothalamic set point . The processes of heat conservation (vasoconstriction) and heat production (shivering and increased nonshivering thermogenesis) develops until the temperature of the blood bathing the hypothalamic neurons matches the new thermostat setting. Once that point is reached, the hypothalamus maintains the temperature at the febrile level. Ref: Dinarello C.A., Porat R. (2012). Chapter 16. Fever and Hyperthermia. In D.L. Longo, A.S. Fauci, D.L. Kasper, S.L. Hauser, J.L. Jameson, J. Loscalzo (Eds), Harrison's Principles of Internal Medicine, 18e.